True about Barret's esophagus -a) Premalignantb) Predispose to sq. cell Cac) Can be diagnosed by seeing under endoscoped) Biopsy is necessary to diagnosee) Stricture may be present in high esophagus
1. bce
2. bde
3. abcd
4. acde

Correct answer: 4. acde

Explanation: Diagnosis of Barrett's esophagus
- The diagnosis of Barrett's esophagus is suspected on endoscopy when there is difficulty in visualizing the squamo-columnar junction at its normal location and by the appearance of pink, more luxuriant columnar mucosa in the lower esophagus instead of gray-pink squamous mucosa.
-  the diagnosis is confirmed by biopsy.

Strictures in Barrett's esophagus occur at the squamo-columnar junction and move high up as the squamo-columnar junction moves up with progressive injury.